Blood supply of the Eustachian tube is by all except -
1. Ascending pharyngeal artery
2. Middle meningeal artery
3. Artery of pterygoid canal
4. Facial artery

Correct answer: 4. Facial artery

Explanation: The facial artery is the chief artery of the face. It is a branch of the external carotid artery. The facial artery is very tortuous. The tortuosity of the artery prevents its walls from being unduly stretched during movements of the mandible, the lips and the cheeks. Ref: BD Chaurasia's HUMAN ANATOMY, Volume 3, 4th edition.